Mala -N contains -
1. Ethinyl estradiol 30 mcg
2. Norgesterol 50 mcg
3. Ethinyl estradiol 50 mcg
4. Progesterone 10 mg

Correct answer: 1. Ethinyl estradiol 30 mcg

Explanation: Ans. is 'a' i.e., Ethinyl estradial 30 meg o MALA 'N' --> Norethisterone 1 mg + Ethyl estradiol 30 g (.03 mg). o MALA 'D' --> Norgestre1.3 mg + Ethinyl estrodial 30 mg (.03 mg) Hormonal contraceptives o These are hormonal preparations used for reversible suppression of fertility. o Types of methods A. Oral Combined pill (monophasic pills) o It contains an estrogen and a progestin. o This is the most effective and popular method. o Efficacy is 98-99% o Preparation are - El Ethinyl estradiol 30 g (.03 mg) + Norgestrel 0.3 mg Ethinyl estradiol 50 g (.05 mg) + Levonorgestrel 0.25 mg Ethinyl estradiol 30 g (.03 mg) + Desogestreol 0.15 mg o One tablet (containing estrogen and progesterone) is taken daily for 21 days starting on 51' day of mensturation. Phased regimens o The estrogen dose is kept constant (or varied slightly between 30-40 mg), while the amount of pregestin is low in first phase and progressiely higher in the second and third phases. o Preparations are Biphasic pills Day 1-10 --> Ethinyl estradiol 35 mg + Norethindrone 0.5 mg Day 11-21 Ethinyl estradiol 35 mg + Norethindrone 1 mg. Triphasic pills Day 1-7 Ethinyl estradiol 35 mg + Norethindrone 0.5 mg Day 8-14 Ethinyl estradiol 35 mg + Norethindrone 0.75 mg Day 15-21--> Ehinyl estradiol 35 mg + Norethindrone 1 mg Minipill (progestin only pill) o A low dose progestin pill is taken daily without any gap. o Preparations -/ Norethindrone (0.35 mg) or Norgestrel 75 mg. Postcoital (emergency) pills. a)Levonorgestrel 0.5 mg + ethinyl estradiol 0.1 mg --> within 72 hours of unprotected intercourse and repeated after 12 hours - Yuzpe method. b)Levonorgestrel alone 0.75 mg taken twice with 12 hour gap within 72 hours of unprotected intercourse --> method of choice for emergency contraception. c) Mifepristone 600 mg single dose within 72 hours of unprotected intercourse. B. Injectable o They are given i.m. as oily solution 1. Long acting progestin alone a) Depot medroxy progesterone acetate (DMPA) 150 mg at 3 month intervals. or b) Norethindrone (norethisterone) enanthate (NEE) 200 mg at 2 months intervals. The most important undesirable property is complete disruption of mestural bleeding pattern and total amenorrhoea (more common with DMPA). 2. Long acting progestin + long acting estrogen - once a month.